All extra-ocular muscles are supplied by the oculomotor nerve except
1. Superior rectus
2. Inferior oblique
3. Lateral rectus
4. Medial rectus

Correct answer: 3. Lateral rectus

Explanation: The superior oblique is supplied by the trochlear nerve The lateral rectus is supplied by abducent nerve The superior rectus, inferior rectus, medial rectus and inferior oblique are supplied by occulomotor nerve Ref BDC volume 3,sixth edition pg 208